Mummification refers to:
1. Hardening of muscle following death
2. Colliquative putrifaction
3. Saponification of subcuatenous fat
4. Desiccation of dead body

Correct answer: 4. Desiccation of dead body

Explanation: Ans: D (Desiccation of dead body) Ref: The Essentials of Forensic Medicine ami Toxicology by KS Narayan Reddy. 29th edition. 2010Explanation:MummificationIt is dessication/dehydration or drying and shriveling of body tissue and viscera after deathCommon in infants (neonates and still births)ideal conditions for its formation are:High temperatureDevoid of moistureFree circulation of air around the bodyChronic arsenic or antimony poisoning favour mummificationFirst involves exposed body parts like lips. nose. Fingers, toes etcThe natural appearances and body features are preserved, but face is grossly distorted due to shrinkage of skin.The skin is contracted, shruken and dry (rusty brown in colour)The body is odourless and helps in estimation of time since death